Which of the following is not true of Actinomycosis?
1. Demonstration of filaments
2. Caused by Actinomyces israelii
3. Organism cannot be cultured
4. Sulphur granules in pus

Correct answer: 3. Organism cannot be cultured

Explanation: Ans. is 'c' i.e., Organism cannot be culturedRef: (Ananthanarayan, 8th/e, p. 393; 9th/e, p. 394; Harrison, 18th/e, p. 1324; Jawetz, 24th/e, p. 182)Pus containing sulfur granules are washed and cultured anaerobically in thioglycollate broth or Brain heart infusion (BHI) agar.